The process whereby WBC can squeeze through pores in capillary walls is
1. Diffusion
2. Diapedesis
3. Osmosis
4. Pinocytosis

Correct answer: 2. Diapedesis

Explanation: (B) Diapedesis# Diapedisis is the passage of red or white blood corpuscles through the walls of the vessels that contain them without damage to the vessels.